Which is the most common complication of chicken pox in neonates?
1. Pneumonia
2. Encephalitis
3. Reye's syndrome
4. Hemorrhages

Correct answer: 1. Pneumonia

Explanation: The most common complication of chicken pox in neonates, adults and the immunocompromised is pneumonia. But in children varicella pneumonia is an uncommon complication. Ref: Park 21st edition, Page 135